All of the following regarding papillary carcinoma thyroid is true except -
1. Multicentric origin
2. Seocndaries to lymphnodes
3. Slowing growing
4. Bony metastasis in early stage

Correct answer: 4. Bony metastasis in early stage